Gonads to testes differentiation
1. SRY gene
2. WNT-4 gene
3. DAXI gene
4. None

Correct answer: 1. SRY gene

Explanation: SRY sex determining region on the Y chromosome . Reference: OP Ghai,essential paediatrics ,8 th edition,page no 537,fig 17.20